Whenever availability of oxygen to tissues decreases immediately
1. Vasodilation and increase in blood supply to tissue takes place
2. Vasoconstriction and decreases in blood supply to tissue takes place
3. Venoconstriction and increase in tissue perfusion pressure occurs
4. Venodilation and decrease in tissue perfusion pressure occur

Correct answer: 1. Vasodilation and increase in blood supply to tissue takes place

Explanation: Vasodilator Theory for Acute Local Blood Flow Regulation Possible Special Role of Adenosine. According to this theory, the greater the rate of metabolism or the less the availability of oxygen or some other nutrients to a tissue, the greater the rate of formation of vasodilator substances in the tissue cellsRef: Guyton 11th edition pg no: 196